FNAC is contraindicated in
1. Disseminated malignancy
2. Bleeding disorders
3. Lymph node malignancy
4. Liver disorders

Correct answer: 2. Bleeding disorders

Explanation: (Bleeding disorders): (214-Baily & Love 26th edition; 467-690- H18th)FNAC - generally obtains only a suspension of cells from within a mass* This procedure is minimally invasive, and if positive or cancer it may allow inception of systemic treatment when metastatic disease is evident or it can provide a basis for planning a meticulous and extensive surgical procedureFNAC* Sample accessible sites such as- Breast, thyroid, and superficial lymphnodes* FNAC from deeper and less accessible structures eg- Liver pancreas, kidney and lung is usually assisted by ultrasound or CT guidance* Ultrasound guided trans bronchial FNA - for mediastinal masses and transmucosal FNA for submucosal gastrointestinal lesions or perivisceral lesionsAdvantages - simplicity of the procedure and the low rate of complications